FSH and LH both are inhibited by ?
1. Cortisol
2. Aldosterone
3. Estrogen
4. Progesterone

Correct answer: 3. Estrogen

Explanation: Ans. is 'c' i.e., EstrogenConsistent with the phenomenon of negative feedback in which the secretion of the target hormone inhibits its trophic hormone, pregesterone inhibits LH and inhibin inhibits FSH.Estrogen, whose secretion is stimulated by both LH and FSH, inhibits both LH and FSH.Progesterone and estrogen act at both hypothalamic and pituitary levels while inhibin secreted by granulosa cells acts only on the pituitary.Under certain conditions, estrogen causes stimulation (positive feedback) rather than inhibition of LH, e.g., at ovulation.